Transfer of a portion of DNA from one bacterium to another by the bacteriophage is known as -
1. Transformation
2. Transduction
3. Transcription
4. Lysogenic conversion

Correct answer: 2. Transduction

Explanation: TRANSDUCTION: the trannsfer of a portion of the DNA from one bacterium to another by a abactriophage is known as transduction. Bacteriophages are viruses that parasitise the bacteria and consist of a nucleic acid core and a protein coat. a phage particle may have its core beside its own nucleic acid a segment of hostDNA. When this particle infects another bacterium DNA transfer is effected and the recepient cells acquire new characteristic coded by the donor DNA REF:Ananthanarayan and Panicker's Textbook ofMicrobiology 8thEdition pg no:63